Froments sign is seen -
1. Ulnar nerve palsy
2. Median nerve palsy
3. Anterior interosseous nerve palsy
4. Radial nerve palsy

Correct answer: 1. Ulnar nerve palsy

Explanation: Ans. is 'a' i.e., Ulnar nerve palsy [Ref: BDC 5th/e Volume 1 p. 136}NERVESRELEVANT TESTSUlnar Nerve PalsyBook test (Froment sign)Card testEgawa's testMusician's NerveMedian Nerve PalsyPointing index fingerPen testBenediction testOschner clasp testApe thumbLabourer's NerveRadial Nerve PalsyWrist dropFinger drop